A woman delivered a baby of 2.2 kg weight. Her LMP is not known. To know the maturity of baby, all of the following are used EXCEPT?
1. Sole crease
2. Ear cartilage
3. Breast nodule
4. Weight of the baby

Correct answer: 4. Weight of the baby

Explanation: Expanded New Ballard Score (EBNS)- assess gestational age of a neonate. It includes physical characteristics: skin of the baby sole crease ear cartilage breast nodule